A person showing two cell lines derived from two different zygotes is known as -
1. Chimerism
2. Mosaicism
3. Seggregation
4. Pseudo-dominance

Correct answer: 1. Chimerism